Savita is 35 years female with gravida-2 and parity-1 is suffering from hepatic encephalopathy. Likely cause will be:
1. Hepatitis B
2. Hepatitis E
3. Hepatitis D
4. Hepatitis A

Correct answer: 2. Hepatitis E

Explanation: In normal individuals, acute hepatitis E is self-limited; acute illness usually lasts 1-4 weeks, although some patients have a prolonged cholestatic hepatitis lasting 2-6 months. The hepatitis E virus causes a fulminant hepatitis in pregnant females, primarily affecting women in the third trimester. The mortality rate in pregnant mothers is around 30%. Ref: Ukomadu C. (2012). Chapter 8. Hepatic Complications of Pregnancy. In R.S. Blumberg, R. Burakoff (Eds), CURRENT Diagnosis & Treatment: Gastroenterology, Hepatology, & Endoscopy, 2e.